Acinic cell tumor is most commonly seen in
1. Parotid gland
2. Parathyroid
3. Sublingual gland
4. Thyroid

Correct answer: 1. Parotid gland

Explanation: Ans. (a) Parotid glandRef: Stell and Maran's Head and Neck Surgery, p-719* Acinic cell tumor is low grade tumor* Most common site of Acinic cell tumor is Parotid gland